A 20 year old G1P0 female at 40 weeks of gestation presents to labor room with rupture of membranes and early onset of labor. She is extremely anxious with peripheral i.v placement and begins to Hyperventilate. If allowed to continue hyperventilation, It will cause
1. Decreased maternal arterial pH
2. Increased placental perfusion
3. Increased fetal arterial pH
4. Decreased maternal uterine artery flow

Correct answer: 4. Decreased maternal uterine artery flow

Explanation: Hyperventilation → CO2 washout →Low PaCO2 levels → Vasoconstriction → Reduced placental perfusion